Therapeutic drug monitoring is used in ?
1. Diuretic
2. Metformin
3. Levodopa
4. Digoxin

Correct answer: 4. Digoxin

Explanation: Ans. is 'd' i.e., Digoxin Therapeutic drug monitoring is particularly useful in following situations ? 1. Drugs with low safety margin ? Digoxin Aminoglycoside antibiotics Anticonvulsants Lithium Antiarrythmics Tricyclic antidepressants Theophylline 2. If individual variations are large - Antidepressants, Lithium 3. Potentially toxic drugs used in presence of renal failure - Aminoglycoside antibiotic, vancomycin, cyclosporine 4. In case of poisoning 5. In case of failure of response without any apparent reason - Antimicrobials 6. To check patient compliance -. Psycho-pharmacological agents. Drugs whose response is easily measurable eg. hypoglycaemics (metformin), antihypertensive, diuretics, oral anticoagulants and general anaesthetics, monitoring of plasma conc. is of no value.